GLUMA is :
1. 5% glutaraldehyde + 35% HEMA
2. 5% glutaraldehyde + 35% META
3. 5% glutaraldehyde + 40% HEMA
4. 5% glutaraldehyde + 40% META

Correct answer: 1. 5% glutaraldehyde + 35% HEMA

Explanation: Gluma system (Bayer Dental, Leverkusen, Germany) - primer solution of 5% glutaraldehyde and 35% HEMA in water.
Sturdevant Operative Dentistry 7th edition page 143